Evan's syndome refers to presence of which of the following hematologic changes?
1. Autoimmune thrombocytopenia in autoimmune hemolytic anemia
2. DIC in autoimmune hemolytic anemia
3. Thrombocytopenia in hairy cell leukemia
4. Thrombocytosis in autoimmune hemolytic anemia

Correct answer: 1. Autoimmune thrombocytopenia in autoimmune hemolytic anemia

Explanation: Some cases of autoimmune hemolytic anemia can be associated with autoimmune thrombocytopenia, known as Evan's syndrome. Ref: Harrison's principles of internal medicine, 18th edition, Page 881.